Alvarado scoring in appendicitis includes all expect:
1. Migratory right iliac fossa pain
2. Nausea
3. Elevated temperature
4. Leucopenia

Correct answer: 4. Leucopenia

Explanation: Alvarado (MANTRELS) scores Manifestation Score Symptoms Migratory RIF pain Anorexia Nausea and vomiting 1 1 1 Signs Tenderness (RIF) Rebound tenderness Elevated temperature 2 1 1 Laboratory Leuocytosis Shift to left 2 1 Total 10 Scores Prediction 9-10 Appendicitis is certain 7-8 High likelihood of appendicitis 5-6 Equivocal 1-4 Appendicitis can be ruled out